Which of the following is not a front line antihypertensives -
1. Enalapril
2. Hydrochlorthiazide
3. Amlodipine
4. Atenolol

Correct answer: 4. Atenolol

Explanation: Ans. is 'd' i.e., Atenolol Firstlinean-Wnsivechli drugs o First line antihypertensive agents are the drugs, which are choosen for initiation of therapy. 1. Thiazide diuretics (e.g., Hydrochlorthiazide) 2.ACE inhibitors (e.g., Enalapril) 3. Angiotensin H receptor antagonists 4. Calcium channel blocker (e.g., amlodipine) Beta blockers are not considered first line antihypertensives by JNC-VIII guidelines.